All are of adult size at birth except?
1. Mastoid antrum
2. Ear Ossicles
3. Tyrnpanic cavity
4. Maxillary antrum

Correct answer: 4. Maxillary antrum

Explanation: The tympanic cavity and mastoid antrum , auditory ossicles and structures of the internal ear are all almost fully developed at birth and subsequently alter little.